Superior parathyroid is derived from :
1. 1st pharyngeal pouch
2. 2nd pharyngeal pouch
3. 3rd pharyngeal pouch
4. 4th pharyngeal pouch

Correct answer: 4. 4th pharyngeal pouch

Explanation: Superior pharyngeal pouch is derived from 4th phalyngeal pouch.
Inferior pharyngeal pouch is derived from 3rd phalyngeal pouch.